Undertaker's fracture is -
1. C23
2. C34
3. C56
4. C67

Correct answer: 4. C67

Explanation: Undertaker's fracture is basically a postmortem fracture, and occurs due to careless handling of the dead body by undertakers; in fact this fracture can be produced by anyone who has to do anything with the dead body. * Pathologists are known to extend the head to make the removal of the neck structures easier. To do this, they usually insert a block about 10-15 cm high under the neck may fall forcibly backwards, producing this fracture. * It involves subluxation of the lower cervical spine due to tearing of the intervertebral disc at about C6-C7. X RAY OF HANGMANS FRACTURE REF : MAHESWARI 9TH ED